Antidote for mineral acid poisoning is:
1. MgSO4
2. CuSO4
3. NaHCO3
4. MgO

Correct answer: 4. MgO

Explanation: Ans. MgO